Parkinsonism like features are evident in surviving patients of which poisoning -
1. CO
2. CO2
3. H2S
4. N2O

Correct answer: 1. CO

Explanation: CO poisoning symptoms- headache CNS-monoplegia,hemiplegia,personality changes,cerebellar damage,parkinsonism bullae CO automatism REF;THE SYNOPSIS OF FORENSIC MEDICINE:KS NARAYANA REDDY;28th EDITION;PAGE NO 359